Kinky hair disease is a disorder where the affected child has a peculiar white stubby hair, growth retardation, brain degeneration, and dies by age of 2 years. Mrs. A is hesitant about having children because her two sisters had sons who had died from kinky hair disease. Her mother's brother also died of the same condition. Which is the possible mode of inheritance in her family?
1. X-linked recessive
2. X-linked dominant
3. Autosomal recessive
4. Autosomal dominant

Correct answer: 1. X-linked recessive

Explanation: The mode of inheritance in her family is X-linked recessive The point in favour are as follows: Only males have manifested this disease. Females act as carriers; sister's sons had the disease X-Linked recessive disorder: Males are affected more commonly and more severely than females Female carriers have a 25% risk for having an affected son, a 25% risk for a carrier daughter, and a 50% chance of having a child that doesnot inherit the mutated X-linked gene. The affected father will have all daughters (100%) to be carriers and unaffected sons because they pass their X chromosome to all of their daughters and their Y chromosome to all of their sons. Ref: Nelson textbook of pediatrics 21st edition Pgno: 645